SAFE strategy is for:
1. Trachoma
2. Diabetic retinopathy
3. Onchocerciasia
4. Glaucoma

Correct answer: 1. Trachoma

Explanation: Trachoma